All are present in Behcet's syndrome, except:
1. Arthritis
2. Hepato-splenic involvement
3. Mucocutaneous involvement
4. Neuro-ocular involvement

Correct answer: 2. Hepato-splenic involvement

Explanation: Behcet's syndrome is a multisystemic, chronic disorder, characterized by oral and genital aphthous ulcers, arthritis, and cutaneous lesions, ocular, gastrointestinal, and neurological manifestations. 
This disease is usually present in adulthood and is uncommon in children. It is well accepted that Behcet's syndrome is associated with the allele HLA-B51 (chromosome 6p21), which is relatively common in many ethnic groups.
Organophosphates, organochlorides, heavy metal intoxication, and allergens are environmental factors that may trigger initiation or exacerbation of Behcet's disease.
Reference: Shafer’s Textbook of ORAL PATHOLOGY Eighth Edition page no 595,596